Visceral Larva migrans is a feature of
1. Ancyclostoma caninum
2. Ancyclostoma braziliense
3. Toxocara canis
4. Ancyclostoma duodenale

Correct answer: 3. Toxocara canis

Explanation: Visceral Larva Migrans Seen in:-

Toxocara canis - m/c
Toxocara catis
Ascaris suum
Angiostrongylus cantonensis
Gnathostoma spinigerum.